A child upon ingestion of shellfish , developed tingling sensation in the mouth, swelling of the face, lips and tongue and also complained of abdominal pain and dizziness. This is an example of _
1. IgG mediated reaction
2. IgA mediated reaction
3. T cell mediated cytotoxicity
4. IgE mediated reaction

Correct answer: 4. IgE mediated reaction

Explanation: This is an example of an IgE mediated type of hypersensitivity reaction. The primary mediators are histamine and serotonin. The secondary mediators are prostaglandins and leukotrienes. The clinical manifestations may be local or systemic and range from mild rhinitis to fatal anaphylaxis. Reference: Ananthanarayan and Paniker's Textbook of Microbiology Tenth edition